Commonest trophozite infection by sexual intercourse -
1. Entamoeba histolytica
2. Trichomonas vaginalis
3. Trepanoma palidium
4. Giabrdia intestinales

Correct answer: 2. Trichomonas vaginalis

Explanation: Trichomoniasis has an estimated annual incidence of 173 million cases(Ref.PARK'S TEXTBOOK OF PREVENTIVE AND SOCIAL MEDICINE 21st Edition page no.304)